Fracture involving both the malleoli is
1. Cotton's fracture
2. Potts's f racture
3. Pirogoff's fracture
4. Dupuytren's fracture

Correct answer: 2. Potts's f racture

Explanation: B i.e. Pott's